'STEPS' is recommended by WHO as a method for:
1. Surveillance of mortality from communicable disease
2. Surveillance of risk factors for communicable diseases
3. Surveillance of mortality from non communicable diseases
4. Surveillance of risk factors for non communicable diseases

Correct answer: 4. Surveillance of risk factors for non communicable diseases

Explanation: From 2005, WHO introduced stepwise approach to surveillance of noncommunicable disease risk factors termed STEPS, as a part of global surveillance strategy aiming to monitor emerging patterns and trends worldwide and contain and reduce noncommunicable diseases. Ref: Commonwealth Health Ministers Update, 2011 By Philip D Ose, Page 43; Epidemiology and Demography in Public Health By Japhet Killewo, Pages 99-100